Adenosine receptor stability is because of extensive disulfide bonds formed between:
1. Cysteine
2. Methionine
3. Arginine
4. Alanine

Correct answer: 1. Cysteine

Explanation: Disulfide bonds can only be formed between one amino acid i.e. cysteine, as it has sulfhydryl group (-SH). Two cysteine gets joined to form cystine (having disulfide bond) (see fig). It a strong covalent bond.